A normal child will acquire complete neck control by?
1. 8 weeks
2. 16 weeks
3. 28 weeks
4. 24 weeks

Correct answer: 2. 16 weeks

Explanation: GROSS MOTOR DEVELOPMENT: 2 months: Holds head in the plane of rest of the body when held in ventral suspension. In the prone position in bed, the chin lifts momentarily. 3 months: lift head above the plane of the body. Head control starts by 3 months and fully developed by 5 months. 4 months: Remain on forearm support if put in prone position, lifting the upper part of the body off the bed. 5 months: Rolls over. 6 months: sit in a tripod fashion. 8 months: sits without support., crawling 9 months: Takes a few steps with one hand held. Pulls to standing and cruises holding on to furniture by 10 months. 10 months: creeps 12 months: creeps well, walk but falls, stand without support. 15 months: walks well, walks backward/ sideways pulling a toy. May crawl upstairs. 18 months: Runs, walks upstairs with one hand held. Explores drawers 2 years: walk up and downstairs, jumps. 3 years: rides tricycle, alternate feet going upstairs. 4 years: hops on one foot, alternate feet going downstairs. 5 years: skips Ref: Ghai Essential Pediatrics, ninth edition, pg. no. 44